Bacitracin acts on:
1. Cell wall
2. Cell membrane
3. Nucleic acid
4. Ribosome

Correct answer: 1. Cell wall

Explanation: Ans. (A) Cell wall(Ref: Katzung 10/e p741; KDT 8/e p741)Bacitracin acts by inhibiting the synthesis of cell wall.Other polypeptide antibiotics like polymyxin B, colistin and tyrothricin act by affecting membranes.